A patient with Hodgkin's lymphoma is having a single cervical lymphnode. Biopsy showed lymphocyte predominant variant. Which of the following is the treatment of choice:
1. Chemotherapy with Radiotherapy
2. Chemotherapy only
3. Radiotherapy only
4. No treatment needed

Correct answer: 3. Radiotherapy only

Explanation: Answer is C (Radiotherapy only): Regional Radiotherapy is the treatment of choice for localized/limited stage disease nodular lymphocyte predominant hodgkin's Lymphoma `Nodular lymphocyte predominant Hodgkins lymphoma NLPHL presents as asymptomatic limited stage disease in most patients. Most patients present with peripheral lymph nodes in neck, axilla or groin and are classified as limited stage IA disease. Because of the low likelihood of occult disease and tendency of disease to remain localized for years, regional is considered treatment of choice '.-Williams 7th/1471 The patient in question presents with a single cervical lymph node and hence can be classified as having stage lA disease with nodular lymphocyte predominant Hodgkin's lymphoma. Regional is the treatment of choice for such patients.